Normal menstrual cycle duration in an adolescent is
1. 21 - 35 days
2. 21 - 45 days
3. 24 - 38 days
4. 24 - 45 days

Correct answer: 2. 21 - 45 days

Explanation: Parameters for Normal Menstrual Cycles in AdolescentsParameterNormalMenstrual cycle frequency21 - 45 daysCycle variation from cycle to cycleLess than adultsDuration of flow4 - 8 daysVolume of flow4 - 80mlParameters for Normal Menstrual Cycles in Reproductive age womenParameterNormalMenstrual cycle frequency24 - 38 daysCycle variation from cycle to cycle2 - 20 daysDuration of flow4 - 8 daysVolume of flow4 - 80ml